Langerhans cell CD marker is?
1. CD1
2. CD2
3. CD4
4. CD56

Correct answer: 1. CD1

Explanation: Ans. (a) CD1Ref: Robbing pathology 9th ed. 1590* Langerhans cells are characterized by two types of markers: an ultrastructural marker, the Birbeck granule and different membrane markers: HLA-D antigens, T4 antigen, and some of the CD1 antigens.* These antigens which are specific for the epidermal Langerhans cells, are not expressed by the other epidermal cells. Three CD1 antigens are biochemically defined on human thymocytes, they display a glycoprotein chain non covalently attached to beta-2-microglobulin